A congenital hydrocele is best t/t by -
1. Eversion of sac
2. Excision of sac
3. Lords procedure
4. Herniotomy

Correct answer: 4. Herniotomy

Explanation: Congenital hydrocele are a special form of indirect inguinal hernia and are treated by herniotomy." Congenital hvdrocele In this condition, the process us vaginalis remain patent so there is direct communication of the tunica vaginalis with the peritoneal cavity. The communicating orifice at the deep inguinal ring is too small for the development of a hernia. It is present since birth*. In contradiction to assumption. a congenital hydrocele is not easily reducible* due to the narrowness of the deep inguinal ring but when the child lies supine, it disappears. Treatment methods of hydrocele For Congenital hydrocele - Herniotomy* For other types : Jaboulays method - for small & medium sized hydrocele * Lords procedure - for big size hydrocele * Excision of sac - for hematocele, infected sac. Also, Remember MC type of Primary hydrocele is - Vaginal type'''. Hydrocele en Basic* - this type of hydrocele has two intercommunicating sac, one above and one below the neck of the scrotum.